Treatment of Herpes zoster-
1. Zidovudine
2. Valacyclovir
3. Ribavirin
4. Nevirapine

Correct answer: 2. Valacyclovir